TGF-β is involved in all of the process of angiogenesis except:
1. Stimulates  fibroblast migration and proliferation
2. Formation of the vascular lumen
3. Increases the synthesis of collagen
4. Decreases the degradation of ECM

Correct answer: 2. Formation of the vascular lumen

Explanation: TGF-β stimulates fibroblast migration and proliferation, increases the synthesis of collagen and fibronectin, and decreases the degradation of ECM by inhibiting metalloproteinases. TGF-β is involved not only in scar formation after injury but also in the development of fibrosis in lung, liver, and kidneys that follows chronic inflammation.TGF-β also has anti-inflammatory effects that serve to limit and terminate inflammatory responses. It does this by inhibiting lymphocyte proliferation and the activity of other leukocytes.
VEGFs, mainly VEGF-A, stimulates both migration and proliferation of endothelial cells, thus initiating the process of capillary sprouting in angiogenesis. It promotes vasodilation by stimulating the production of NO and contributes to the formation of the vascular lumen.
Robin’s Textbook of pathology 10th ed Page 91